The first sign of sexual maturation in a girl is -
1. Menarche
2. Pubarche
3. Enlargement of breast
4. Maturation of breast

Correct answer: 3. Enlargement of breast

Explanation: Ans: C Telarche-enlargement of breast buds is the first sign